Apical root fracture is visible in
1. Intra-oral periapical X-ray
2. Bite-wing X-ray
3. Occlusal X-ray
4. OPG

Correct answer: 1. Intra-oral periapical X-ray